In Ghon's technique of autops, organs are removed
1. As organ blocks
2. One by one
3. En - Masse
4. Not removed

Correct answer: 1. As organ blocks

Explanation: Refer the byte "Autopsy technique and types".